A patient was admitted with a bleeding ulcer of the lesser curvature of the stomach. Which artery is MOST likely to be involved?
1. Gastroduodenal
2. Left gastric
3. Left gastro-omental (epiploic)
4. Right gastro-omental (epiploic)

Correct answer: 2. Left gastric

Explanation: The left gastric artery is the artery that supplies the lesser curvature of the stomach (along with the right gastric artery). These two arteries would be most likely to cause bleeding at the lesser curvature of the stomach. The left gastric is one of the three arteries that comes off of the celiac trunk. The left and right gastro-omental arteries are the two arteries that supply the greater curvature of the stomach. The gastroduodenal artery is a branch off the common hepatic artery that supplies the duodenum, head of the pancreas, and the greater curvature of the stomach. The short gastric arteries are 4 or 5 small arteries from the splenic artery that supply the fundus of the stomach.